Verrucosa vulgaris is caused by -
1. HPV
2. EBV
3. CMV
4. HIV

Correct answer: 1. HPV

Explanation: See page 184 in 4th edition of SARP AA " verruca vulgaris most common type caused by HPV 2,4,27"